Professional death in medical profession is -
1. Death of doctor
2. Death sentence ordered by judge
3. Death during police firing
4. Removal of name of doctor from panel of RMP

Correct answer: 4. Removal of name of doctor from panel of RMP

Explanation: RMP is Registered, medical practitioner ERASURE OF NAME: The name of the doctor is removed from the Medical Register: 1.After the death of the registered practitioner 2.entires which are made in error or as a result of fraud 3.PENAL ERASURE: The main cause for erasure is serious professional misconduct, and this is known as penal erasure or the professional death sentence It is given in the following conditions mnemonic 6A's 1 D Alcohol addiction adultery advertisement association Abortion dichotomy { fee spliting} REF: The Synopsis of Forensic Medicine and Toxicology 29th edition page no: 15 and 16.